Turners tooth is seen in
1. enamel hypoplasia due to hypocalcemia
2. enamel hypoplasia due to birth injuries
3. enamel hypoplasia due to congenital syphilis
4. enamel hypoplasia due to local infection or local trauma

Correct answer: 4. enamel hypoplasia due to local infection or local trauma